Calcium in human milk in mg/dl-
1. 28
2. 45
3. 35
4. 55

Correct answer: 1. 28

Explanation: Calcium content in breast milk is 28mg/100g.REF.PARK'S TEXTBOOK OF PREVENTIVE AND SOCIAL MEDICINE.Editon-21.Page no.-582 table 21